Type 1 gastric cancer according to Bormann's classification:
1. Protruding
2. Ulcerated
3. Flat
4. Excavated

Correct answer: 1. Protruding

Explanation: Bormann Classification (Based on macroscopic appearance) Type I Polypoid or fungating cancers Type II Fungating & ulcerated with surrounded by elevated borders Type III Ulcerated lesions infiltrating the gastric wall Type IV Infiltrates diffusely (Linnitis plastic) Type V Unable to be classified